Which of the following drugs acts by increasing bone formation & inhibiting bone resorption
1. Denosumab
2. Zoledronate
3. Strontium ranelate
4. Calcitonin

Correct answer: 3. Strontium ranelate

Explanation: Strontium ranelate resembles calcium and incorporated into bone matrix and promotes bone formation. But osteoclasts can't remove it and thus inhibits bone resorption as well.